Rotation of a distal extension base around longitudinal axis is resisted by
1. Rigidity of major connector
2. Rigidity of minor connector
3. Both of the above
4. None of the above

Correct answer: 3. Both of the above

Explanation: A second movement is rotation about a longitudinal axis as the distal extension base moves in a rotary direction about the residual ridge. This movement is resisted primarily by the rigidity of the major and minor connectors and their ability to resist torque.